Which of the following is a new IL1 antagonistused in rheumatoid arthritis-
1. Anakinra
2. Rituximab
3. Teriparatide
4. Adalimumab

Correct answer: 1. Anakinra

Explanation: Ans. is 'a' i.e., Anakinra o Anakinra is an IL-1 antagonist.o It is used for some rare syndromes dependent on IL-1 production :Neonatal - onset inflammatory diseaseMuckle - Wells syndromeFamilial cold urticariaSystemic juvenile - onset inflammatory arthritisRA